DMPA is an injectable contraceptive given every -
1. Three weeks
2. Two months
3. Three months
4. Two years

Correct answer: 3. Three months